Butcher's thigh is?
1. Vastus lateral rupture
2. Subcutaneous lipodermatosclerosis
3. Bursa in adductor canal
4. Accidental injury to major vessels in thigh or groin

Correct answer: 4. Accidental injury to major vessels in thigh or groin

Explanation: Accidental injury to major vessels in thigh or groin REF: Bailey & Love's Short practice of surgery 18th edition Page 147, 69 (in older editions) Butcher's thigh is penetrating wound of femoral triangle due to knife slipping while boning meat. Penetrating wound involving main veins in the thigh or groin are potentially fetal, as exsanguination may follow the first aid dressing which has apparently controlled the bleeding.